Vascular sign of narath is seen in-
1. Dislocation of hip
2. Dislocation of knee
3. Dislocation of elbow
4. Dislocation of shoulder

Correct answer: 1. Dislocation of hip

Explanation: Vascular sign of Narath *Normally femoral pulse is felt in the groin against head of the femur. *In posterior dislocation of hip the vessels fall back unsupported, so femoral arterial pulsation, which isn't felt against the head of the femur will be feeble or even, may not be palpable. Ref: Textbook of Orthopaedics by kotwal p.25